Which of the following extraocular muscle is not supplied by occulomotor nerve?
1. Inferior oblique
2. Inferior rectus
3. Medial rectus
4. Lateral rectus

Correct answer: 4. Lateral rectus

Explanation: ANSWER: (D) Lateral rectusREF: Khurana 4th ed page 313Nerve supply of extraocular muscle:The extraocular muscles are supplied by third, fourth and sixth cranial nerves. The third cranial nerve (oculomotor) supplies the superior, medial and inferior recti and inferior oblique muscles. The fourth cranial nerve (trochlear) supplies the superior oblique and the sixth nerve (abducent) supplies the lateral rectus muscle.Note:Remember this Mnemonic for intraocular muscles nerve supply[?] SO4 -LR6- Rest all by 3rd (Oculomotor nerve)